Which of the following suppress the activity of osteoblasts?
1. Vitamin D3
2. T3 and T4
3. Corticosterone
4. Parathormone

Correct answer: 3. Corticosterone

Explanation: Steroid causes inhibition of osteoblast function and potential increase in osteoblast apoptosis, resulting in impaired synthesis of new boneStimulation of bone resorption, probably as a secondary effectImpairment of the absorption of calcium across the intestine, probably by a vitamin D-independent effectIncrease of urinary calcium loss and induction of some degree of secondary hyperparathyroidismReduction of adrenal androgens and suppression of ovarian and testicular secretion of estrogens and androgensPotential induction of glucocorticoid myopathy, which may exacerbate effects on skeletal and calcium homeostasis, as well as increase the risk of falls.